Boold volume in preterm neonate is
1. 90 ml/kg
2. 80 ml/kg
3. 70 ml/kg
4. 60 ml/kg

Correct answer: 1. 90 ml/kg

Explanation: At the moment of birth the newborn infant was estimated to have a blood volume of 78 ml/kg with a venous hematocrit of 48 %. The average blood volume at birth was found to be 109 ml. per kilogram, a value slightly higher than in fullterm infants. In the first 2 1/2 months of life there was a tendency for the plasma volume to increase as the erythrocyte volume decreased. This had the effect of maintaining the total blood volume at a relatively high level. Reference: GHAI Essential pediatrics, 8th edition